Good prognostic factor for schizophrenia is:
1. Childhood onset
2. Acute onset
3. Poor premorbid functioning/adjustment
4. Predominant negative symptoms

Correct answer: 2. Acute onset

Explanation: Ans: b (Acute onset)Ref: Kaplan & Sadock's Synopsis of Psychiatry: Behavioral Sciences/Clinical Psychiatry, 10th ed. Pg.476Features weighting toward good to poor prognosis in SchizophreniaGood Prognosis Late onset Obvious precipitating factors Acute onset Good premorbid social, sexual, and work histories Mood disorder symptoms (especially depressive disorders) Married Family history of mood disorders Good support systems Positive symptoms Poor Prognosis Young onset No precipitating factorsInsidious onsetPoor premorbid social, sexual, and work histories Withdrawn, autistic behaviourSingle, divorced, or widowedFamily history of schizophrenia Poor support systems Negative symptomsNeurological signs and symptomsHistory of perinatal trauma No remissions in 3 years Many relapses History of assaultiveness